All of the following are branches of splenic artery, except
1. Short Gastric artery
2. Hilar branches
3. Right Gastroepiploic artery
4. Arteria pancreatic magna

Correct answer: 3. Right Gastroepiploic artery

Explanation: Right gastroepiploic artery is a branch of gastroduodenal artery which is a branch of common hepatic artery Ref: Gray's 40e/p-990